In full term neonates, the ductus arteriosus closure is due to
1. Cardiac output
2. Prostaglandins
3. Low pressure CO2
4. High pressure O2

Correct answer: 4. High pressure O2

Explanation: High pressure O2 can cause the closure of ductus arteriosus. Reference: GHAI Essential pediatrics, 8th edition